Hypothermia in elderly male
1. Decrease heart rate
2. Decrease in cardiac out put
3. May cause MI
4. All of the above

Correct answer: 4. All of the above

Explanation: (AH of the above): Ref: 122-H,304-Sabiston 17th (135-H17th)HYPOTHERMIA:Body response include* Decrease in cardiac output* Reduction in heart rate* Cardiac arrhythmias* < 35degC - Coagulation is significantly affected as well as platelet functions (Bleeding become more serious problems)Hypothermia associated with sepsis is a poor prognostic sign. Hepatic failure causes decreased glycogen stores and gluconeogenesis, as well as a diminished shivering response. In acute MI associated with low cardiac out, hypothermia may be reversed after adequate resuscitation.